Alcoholic hyaline seen in alcoholic liver disease is composed of:
1. Lipofuschin
2. Eosinophilic intracytoplasmic inclusions
3. Basophilic intracytoplasmic inclusions
4. Hemazoin

Correct answer: 2. Eosinophilic intracytoplasmic inclusions

Explanation: Mallory-Denk bodies/Alcoholic hyaline:- Clumped, amorphous, eosinophilic material in ballooned hepatocytes. Tangled skeins of intermediate filaments such as keratins 8 and 18 in complex with other proteins such as ubiquitin. Present in alcoholic liver disease Non-alcoholic fatty liver disease Wilson disease(periportal region) Chronic biliary tract diseases.